Jones fracture is fracture of -
1. Metatarsal
2. Metacarpal
3. Proximal phalynx
4. Distal phalynx

Correct answer: 1. Metatarsal

Explanation: Ans. is 'a' i.e., Metatarsal Fracture of the base of 5th metatarsal (Jones* fracture)* This is a fracture at the base of the 5th metatarsal, caused by the pull exerted by the tendon of the peroneus brevis muscle inserted on it.* Clinically, there is pain, swelling and tenderness at the outer border of the foot, most marked at the base of the 5th metatarsal.* Diagnosis is easily confirmed on X-ray.* Treatment is by a below-knee walking plaster cast for 3 weeks.